For exhumation the order should be passed by -
1. Chief judicial magistrate
2. Executive magistrate
3. Police officer
4. Session judge

Correct answer: 2. Executive magistrate

Explanation: The body is exhumed only when, there is written order from the executive magistrate.